Estrogen is secreted by ?
1. Granulosa cells
2. Theca luteal cells
3. Theca interna
4. Theca externa

Correct answer: 1. Granulosa cells

Explanation: Ans. is 'a' i.e., Granulosa cells